GLUT-5 is transporter for
1. Glucose
2. Fructose
3. Mannose
4. Galactose

Correct answer: 2. Fructose

Explanation: GLUT5 is a fructose transporter expressed on the apical border of enterocytes in the small intestine.GLUT5 allows for fructose to be transported from the intestinal lumen into the enterocyte by facilitated diffusion due to fructose's high concentration in the intestinal lumen.GLUT5 is also expressed in skeletal muscle, testis, kidney, fat tissue (adipocytes), and brain. Ref: DM Vasudevan, 7th edition, page no: 320